Postganglionic fibres to parotid gland is supplied by?
1. Glossopharyngeal nerve
2. Auriculotemporal nerve
3. Both of the above
4. None of the above

Correct answer: 2. Auriculotemporal nerve

Explanation: Preganglionic nerves travel in the lesser petrosal branch of the glossopharyngeal nerve and synapse in the otic ganglion. Postganglionic fibers reach the gland the auriculotemporal nerve. Nerve supply of parotid gland Innervation of the salivary gland is as follows:- Parasympathetic (secretomotor) : - They reach the gland through auriculotemporal nerve as the following route:- Preganglionic fibers - Originate in the inferior salivary nucleus; pass through glossopharyngeal nerve; its tympanic branch; tympanic plexus, and lesser petrosal nerve. Ref: Gray's anatomy text book of anatomy BD chaurasia 21st Ed.